Anchovy Sauce pus/chocolate brown pus is the clinical feature of:
1. Amoebic liver abscess
2. Pyogenic liver abscess
3. Peritoneal abscess
4. Hydatid liver

Correct answer: 1. Amoebic liver abscess

Explanation: Ans. (a) Amoebic liver abscessRef : Microbiology by Ananthanarayan and Paniker 8th ed. /595, 625AMOEBIC LIVER ABSCESS* It is a liver abscess caused by Entamoeba histolytica* It is common in tropical countries.* It exists in vegetative form outside the body and is spread by the faeco-oral route.* Presents with Pain in the right hypochondrium, fever, Profuse sweating and rigors, loss of weight etc.* Diagnostic of choice: ultrasound* DOC: Metronidazole